The commonest valvular manifestation of acute as well as previous rheumatic carditis is
1. Mitral stenosis
2. Mitral regurgitation
3. Aortic stenosis
4. Aortic regurgitation

Correct answer: 2. Mitral regurgitation

Explanation: Mitral regurgitation (MR) is the commonest manifestation of acute as well as previous rheumatic carditis. Reference: Essential Paediatrics; O.P. Ghai; Page no: 438